320 IPC is for –
1. Defines hurt
2. Defines murder
3. Attempt to murder
4. Defines grievous hurt

Correct answer: 4. Defines grievous hurt

Explanation: According to sec. 320 IPC any of following injuries are grievous. Emasculation Permanent privation of sight of either eye Permanent privation of hearing of either ear Privation of any member or joint Destruction or permanent impairing of power of any member or joint Permanent disfiguration of head or face Fracture or dislocation of bone or tooth Any hurt which endangers life or which causes the victim to be in severe bodily pain or unable to follow his ordinary pursuits for a period of twenty days.